Dystrophic calcification is seen in
1. Paget disease
2. Renal osteodystrophy
3. Atheroma
4. Milk Alkali syndrome

Correct answer: 3. Atheroma

Explanation: Dystrophic calcification is encountered in areas of necrosis of any type. It is virtually inevitable in the atheromas of advanced atherosclerosis, associated with intimal injury in the aorta and large arteries and characterized by the accumulation of lipids.( Robbins Basic Pathology, 9th edition, page 25 )